All of the following are sexually transmited, Except-
1. Candida albicans
2. Echinococcus
3. Molluscum contagiosum
4. Group B streptococcus

Correct answer: 2. Echinococcus